Investigation of choice for detection and characterization of interstitial lung disease is:
1. MRI
2. Chest X-ray
3. High resolution CT scan
4. Ventilation perfusion scan

Correct answer: 3. High resolution CT scan

Explanation: Ans. is 'c' ie high Resolution CT Scan (Ref: CT and MR imaging of whole body, Haaga, 4/e, p838; Sutton, 7/e, p33)HRCT is the investigation of choice for interstitial lung disease.HRCT can even delineate the lung parenchyma down to the level of the secondary pulmonary lobule.Also Remember * Principles of HRCT*Thin sections (collimation) - 1 to 2 mm.High spatial resolution reconstruction algorithm (eg the bone algorithm).Small field of view just large enough to encompass the region of interest.